Which sensitizes the myocardium to catecholamines?
1. Nitrous oxide
2. Halothane
3. Isoflurane
4. Desflurane

Correct answer: 2. Halothane

Explanation: Halothane sensitizes the myocardium to the dysarrhythmogenic effects of catecholamines. Halothane anesthesia is also associated with fulminant hepatic necrosis Basics of Anaesthesia 7e pg: 94